In a small child diagnosed with H. influenzae meningitis, what investigation must be done before discharging him from the hospital?
1. BERA
2. MRI
3. CT scan
4. X-ray skull

Correct answer: 1. BERA

Explanation: - Sensorineural hearing loss is the most common sequelae of bacterial meningitis, - It is a result of cochlear infection and occurs in as many as 30% of patients with pneumococcal meningitis, 10% with meningococcal, and 5-20% of those with H. influenzae type b meningitis. - So hearing evaluation with BERA should be done in all cases of bacterial meningitis before or soon after discharge from the hospital.